Buprenorphine partial agonist at which opioid receptor?
1. Mu
2. Kappa
3. Delta
4. Lambda

Correct answer: 1. Mu

Explanation: Buprenorphine is partial agonist on mu receptor and antagonist at Kappa receptor. REF : katzung pharmacology : 14th ed